MMR vaccine is controversially associated with
1. ADHD
2. Autism
3. Dyslexia
4. Schizophrenia

Correct answer: 2. Autism

Explanation: (B) Autism# MMR vaccine controversy: Colitis and autism spectrum disorders are linked to the combined measles, mumps, and rubella (MMR) vaccine.> Particularly with measles-mumps-rubella (MMR) vaccine, may be related to the development of autism.> Main evidence for a possible association is that the prevalence of autism has been increasing at the same time that infant vaccination coverage has increased, and that in some cases there is an apparent temporal association in which autistic characteristics are first noted shortly after vaccination.> Although the prevalence of autism and similar disorders appears to have increased recently, it is not clear if this is an actual increase or the result of increased recognition and changes in diagnostic criteria.> Apparent onset of autism in close proximity to vaccination may be a coincidental temporal association.> Epidemiological studies, however, have not found an association between MMR vaccination and autism.